Shortest part of colon
1. Ascending colon
2. Transverse colon
3. Descending colon
4. Sigmoid colon

Correct answer: 1. Ascending colon

Explanation: ascending colon 15 cm descending colon 25 cm transverse colon 50 cm sigmoid colon;40 cms The ascending colon is the first of four sections of the large intestine. It is connected to the small intestine by a section of bowel called the cecum. The ascending colon runs upwards through the abdominal cavity toward the transverse colon for approximately eight inches.One of the main functions of the colon is to remove the water and other key nutrients from waste material and recycle it. As the waste material exits the small intestine through the ileocecal, it will move into the cecum and then to the ascending colon where this process of extraction starts. Ref - BDC vol2 6e pg271-273